Serial interval measures
1. Incubation period of disease
2. Sensitivity
3. Specificity
4. Positive predictive value

Correct answer: 1. Incubation period of disease

Explanation: .serial inetrval is the time gap between the onset of primary cases and the secondary cases.by collecting information on the whole series if such onsets,we get a distribution of secondary cases from which we can guess the incubation period of disease. ref:park's textbook ,22 nd edition,pg no 96